Commonest cause of acute otitis media in children is -
1. H. influenza
2. Strepto-pneumoniae
3. Staph aureus
4. Pseudomonas

Correct answer: 2. Strepto-pneumoniae